Extensive pleural thickening and calcifications especially involving diaphragmatic pleura are classical features of: -
1. Coal worker pneumoconiosis
2. Asbestosis
3. Silicosis
4. Siderosis

Correct answer: 2. Asbestosis

Explanation: The characteristics of the radiology that show asbestosis are defined as a fibrous change directly underneath the pleura such as sub-pleural dots, sub-pleural curvilinear lines, branching opacities, interlobular septum hyperplasia. Pleural plaques are noncancerous areas of thickening in the lung linings caused by asbestos exposure. ASBESTOSIS- Pleural thickening + Fibrosis - Mesothelioma